Molluscum contagiosum is caused by:
1. Herpes virus
2. Poliovirus
3. Pox virus
4. Paramyxovirus

Correct answer: 3. Pox virus

Explanation: Ans. C i.e. Poxvirus